Name the technique which usually involves teaching the patient how to induce a state of deep muscle relaxation and describing imaginary scenes relevant to his fear:
1. Desensitization
2. Contingency management
3. Hypnosis
4. None

Correct answer: 1. Desensitization

Explanation: Desensitization: The technique usually involves teaching the patient how to induce a state of deep muscle relaxation and describing imaginary scenes relevant to his fear.
Indications of desensitization are:

Child's initial visit.
At subsequent appointments when introducing dental procedures which are new to the patient.
When treating referral patients.